Rotation of sigmoid volvulus occurs-
1. Clockwise
2. Anticlockwise
3. Initially clockwise later anticlockwise
4. Either clockwise or anticlockwise

Correct answer: 2. Anticlockwise

Explanation: Ans is 'b' i.e. Anticlockwise "Rotation in Sigmoid Volvulus nearly always occur in the anticlockwise direction"- Bailey & Love Remember Sigmoid Volvulus---Anticlockwise Cecal Volvulus ------ Clockwise